Choose the drug whose single oral dose affords clinical cure of uncomplicated malaria caused by chloroquine sensitive /resistant P. Falciparum as well as P. Vivax
1. Quinine
2. Mefloquine
3. Artesunate
4. Proguanil

Correct answer: 2. Mefloquine

Explanation: Mefloquine is effective as a single dose treatment of malaria. It can be used for both chloroquine sensitive as well resistant bacteria Refer KDT 6th/787